A fifty year old woman, presenting with bilateral solid ovarian tumors, has ascites. Upper gastro-intestinal endoscopy reveals an ulcerative growth in pyloric region of stomach. The most likely diagnosis is:
1. Malignant epithelial ovarian tumor with gastric metastasis
2. Germ cell ovarian tumour with concurrent gastric malignancy
3. Sex cord stromal tumor with concurrent gastric malignancy
4. Carcinoma stomach with Kurkenberg's tumor

Correct answer: 4. Carcinoma stomach with Kurkenberg's tumor

Explanation: The krukenberg tumor is a classical description of a tumor which is a 'secondary' to the ovary and is most commonly from the adenocarcinoma of the GIT tract, ca stomach being the most common cause.The features are signet ring cells are pathgomonic for adenocarcinome of stomach Bilateral ovarian tumor in 90% cases A solid to firm tumor the ovary although may be enlarged more than 10 fold but still maintains its shape.